A 40-year-old diabetic woman complains of flank pain and fever. Her temperature is 38.7degC (103degF), respirations are 25 per minute, and blood pressure is 150/90 mm Hg. Urinalysis reveals pyuria with WBC casts. Which of the following features of diabetes is the most important contributing factor in development of flank pain and fever in this patient?
1. Anti-insulin antibodies
2. Glycosylation of hemoglobin
3. Peripheral insulin resistance
4. Hyperglycemia

Correct answer: 4. Hyperglycemia

Explanation: - Flank pain, fever & pyuria are indicative of acute pyelonephritis, a common complication of diabetes. - Glucose in urine provides an enriched culture medium for bacteria to grow. - Patients with autonomic neuropathy often have dystonic bladder that retains urine which further increases risk of pyelonephritis. - Pyelonephritis is constant threat for patients with diabetes & necrotizing papillitis may be devastating complication of renal infection. Other choices are not related to renal infection.